A 3 year old girl is brought to the casualty by her mother. She has multiple bruises on her body. On X-ray 3 fractures at different stage of healing are seen. Excessive callus formation is also noted. The father is reported to be an alcoholic. Mother claims that the baby had fallen off the stairs. What is the likely diagnosis?
1. Scurvy
2. Rickets
3. Osteopetrosis
4. Child abuse

Correct answer: 4. Child abuse

Explanation: The above given is a classical description of battered baby syndrome or child abuse. Here the child as sustained injuries as a result of physical abuse from an adult parent or caregiver. The presence of injuries at various stages of healing proves the long term nature of the problem and that it is a non-accidental injury.